Analgesic effect of Paracetamol mediated by which receptor?
1. NK 1
2. BK1
3. Px23
4. TRPV1

Correct answer: 4. TRPV1

Explanation: Ans. d. TRPV1Ref: David Golan 3rd E/P276Acetaminophen is conjugated with arachidonic acid to form N-arachidonoyl phenylamine which activates cannabinoid and TRPV1 receptors. This is postulated to be one of the mechanisms of analgesic effect seen with acetaminophen (paracetamol).Apart from this acetaminophen also inhibits prostaglandin synthesis which accounts for its analgesic effect.